Neurotransmitter in striatal pathway is?
1. Glutamine
2. Glycine
3. Serotonine
4. Dopamine

Correct answer: 4. Dopamine

Explanation: The nigrostriatal pathway or the nigrostriatal bundle (NSB), is a dopaminergic pathway that connects the substantia nigra with the dorsal striatum (i.e., the caudate nucleus and putamen). Dopaminergic neurons of this pathway synapse onto GABAergic neurons. Glycine is an inhibitory neurotransmitter in the central nervous system, especially in the spinal cord, brainstem, and retina. Serotonin is a neurotransmitter and is found in all bilateral animals, where it mediates gut movements and the animal's perceptions of resource availability Ref Harrison20th edition pg 2765